In a measurement of cardiac output using the fick principle, the O2 concentrations of mixed venous and arterial blood are 16 and 20 ml. 100 ml-1, respectively and the O2 consumption is 300 ml-min-1. The Cardiac output in liters min-1 is:
1. 5
2. 8
3. 9
4. 7.5

Correct answer: 4. 7.5

Explanation: - Oxygen level in arterial blood is given as 20ml / 100ml of blood. - Oxygen level in venous blood is given as 16ml / 100ml of blood. - O2 consumption = 300 ml / min - for entire blood volume (i.e given in liters)- By Fick's formula,